Which colonic polyps have the least malignant potential:
1. Turcot's syndrome
2. Gardner's syndrome
3. Juvenile polyp
4. Familial adenomatous polyposis

Correct answer: 3. Juvenile polyp

Explanation: - Juvenile polyps & Peutz-Jaghers polyps are hamartomatous polyps which are non-neoplastic in nature. - FAP & its variants like Gardner's syndrome & Turcot's syndrome are highly associated with neoplastic adenomas which have high potential to progress into malignant cancer.